True statement about appendix -a) Does not have mesentryb) Has taenia colic) Develops from midgutd) Supplied by appendicular branch of ileocolic
1. cd
2. bc
3. bd
4. ac

Correct answer: 1. cd

Explanation: Appendix develops from midgut and therefore is supplied by the superior mesenteric artery through an appendicular branch of the ileocolic artery.
Appendix is suspended by a peritoneal fold called as mesoappendix.
Taenia coli is not found in the appendix.